Secondary hemorrhage is seen:
1. During anesthesia
2. 6 h after surgery
3. 24 h after surgery
4. 7-14 days after surgery

Correct answer: 4. 7-14 days after surgery

Explanation: Ans. 7-14 days after surgery